The most reliable dental change used in Gustafson's method for age estimation is:
1. Attrition
2. Cementum
3. Secondary dentin deposition
4. Transparency of root

Correct answer: 4. Transparency of root

Explanation: Ans. Transparency of root